Nucleoside is made up of: 1. Pyrimidine 2. Histone 3. Sugar 4. Purine 5. Phosphate
1. 1,2 & 3
2. 1,3 & 4
3. 1,3 & 5
4. 2,3 & 4

Correct answer: 2. 1,3 & 4

Explanation: "The nucleoside is composed of purine purine or pyrimidine base linked to either D-ribose (in RNA) or D-2- deoxyribose (in DNA)" "The nuclear DNA is found bounded to basic proteins called histones". Nucleotides Nucleotides are nucleoside +P The Phosphodiester bond between the nucleotides is formed mainly between 3'OH group of sugar of one nucleotide to 3'OH group of sugar of another nucleotide. Ref: Harper 27/e, Page 297; Chatterjee & shinde 7/e, Page 206-07.